Alcohol is found in all except :
1. Glucocerebroside
2. DHA (Docosa Hexaenoic Acid)
3. Lecithin
4. Sphingomyelin

Correct answer: 2. DHA (Docosa Hexaenoic Acid)

Explanation: Alcoholic group is found in Glucocerebrosides, Sphingomyelin, Lecithin except for DHA. DHA (Docosa Hexaenoic Acid) 22C fatty acid with 6 double bonds. No alcohol is present Glucocerebrosides & Sphingomyelin contains Sphingosine alcohol. Lecithin contains Glycerol alcohol.